Specificity of a screening test measures
1. False positives
2. True positives
3. False negatives
4. True negatives

Correct answer: 4. True negatives

Explanation: Specificity in the above image = d/(b+d)x100 Specificity is defined as the ability of a test to identify correctly those who do not have the disease, that is, "true-negatives". Ref: 25th edition, Park's Textbook of Preventive and Social Medicine, Page no. 152